Most common cause of death in Electrocution is -
1. Respiratory muscle paralysis
2. Ventricular fibrillation
3. Asphyxia
4. Regurgitation of fluids

Correct answer: 2. Ventricular fibrillation

Explanation: CAUSE OF DEATH IN ELECTRICAL INJURIES: 1. Paralysis of medullary (respiratory) centres. 2. Ventricular fibrillation or cardiac arrest without fibrillation. death need not be instantaneous. Individuals may be able to walk some distance and talk before the onset of collapse and death may occur after a few days from infection or from haemorrhage due to damage to blood vessels. REF: The Synopsis of Forensic Medicine and Toxicology 29th edition page no: 167.